The neonatal kidney achieves concentrating ability equivalent to adult's kidney by -
1. One year of age
2. Eighteen months of age
3. Three to six months of age
4. Just before puberty

Correct answer: 1. One year of age